Fordyce spots are seen on-
1. Lips
2. Tongue
3. Fingers
4. Nails

Correct answer: 1. Lips

Explanation: Ans. is 'a' i.e., Lips Fordyce spots (Fordyce granules or Fordyce disease)* Fordyce's spot represents ectopic sebaceous glands on lips (most common site) and oral mucosa. They may also appear on vulva and penis, where they are called Tyson's gland, i.e., ectopic sebaceous gland at penis (prepuce) and vulva is called tyson's gland. These glands have histopathology similar to normal sebaceous glands, despite their ectopic location.* They are regarded as hamartomas as they are not associated with hair follicles (In contrast to normal sebaceous glands which have their ducts in hair follicles). Fordyce's spot is totally benign condition which occurs in normal people. It is characterized by discrete, pin-head sized superficial, light or yellow milium-like, maculo-papular lesions in mucous membrane of lips (especially vermilion portion), and sometimes buccal mucosa.* The condition usually appears at puberty and is more common in males. Fordyce's spots are often confused with koplik's spot of measles - There is erythmatous halo around the Koplik's spot which is not there in Fordyce's spot* As the condition is asymptomatic, no treatment is required, other than reassurance. Oral isotretinoin can be used for large disfiguring spots.